Harakiri, a method of suicide is committed by
1. Ripping the abdomen open
2. Jumping from a height
3. Shooter through the oral cavity
4. Stabbing over the heart

Correct answer: 1. Ripping the abdomen open

Explanation: Harakiri (seppuku): It is an unusual type of suicidal disembowelment connected with Japanese Samurai warriors. The victim with a short sword inflicts a single large abdominal stab wound into the left side, drawing the blade across to the right side and then turning it upwards producing an L-shaped cut. The sudden evisceration of the internal organs causes an immediate decrease of intra-abdominal pressure and cardiac return resulting in collapse and death. Ref - Krishan Vij textbook of forensic medicine and toxicology 5e , https://en.wikipedia.org/wiki/Seppuku